Excessive secretion of ACTH causes:
1. Cushing's syndrome
2. Addison's disease
3. Myxoedema
4. Thyrotoxicosis

Correct answer: 1. Cushing's syndrome

Explanation: Ans. A. Cushing's syndromeOverproduction of ACTH leads to Cushing's syndrome. It is characterized by hyper-pigmentation and increased production of adrenocorticosteroid. These symptoms lead to negative nitrogen balance, impaired glucose tolerance, hypertension, edema, muscle atrophy etc.